Increased LH secretion just before ovulation is due to
1. Positive feed-back by progesterone
2. Positive feed-back by estrogen
3. Positive feed-back by FSH
4. Positive feed-bad by relaxin

Correct answer: 2. Positive feed-back by estrogen

Explanation: Luteinizing hormone (LH) a gonadotropin of the anterior pituitary gland, acting with follicle-stimulating hormone to cause ovulation of mature follicles and secretion of estrogen by thecal and granulosa cells of the ovary; it is also concerned with corpus luteum formation. In the male, it stimulates development of the interstitial cells of the testes and their secretion of testosterone. Called also interstitial cell-stimulating hormone.LH peak is a positive feedback mechanism from estradiol. The levels keep rising through the follicular phase and when they reach an unknown threshold, this results in the peak of the LH. This effect is opposite from the usual negative feedback mechanism presented at lower levels. In other words, the mechanism(s) are not yet clear. The increase in LH production only lasts for 24 to 48 hours. This "LH surge" triggers ovulation, thereby not only releasing the egg from the follicle but also initiating the conversion of the residual follicle into a corpus luteum that, in turn, produces progesterone to prepare the endometrium for a possible implantation. Ref: Ganong's review of medical physiology; 24th edition; page no:-407